According to WHO all are B cell lymphomas except?
1. Burkitt's lymphoma
2. Follicular lymphoma
3. Mantle cell lymphoma
4. Anaplastic large cell lymphoma

Correct answer: 4. Anaplastic large cell lymphoma

Explanation: Answer-D. Anaplastic large cell lymphomaPeripheral T - Cell and NK - Cell NeoplasmsT-cell prolymphocytic leukemiaLarge granular lymphocytic leukemialylycosis fungoides/Sezary syndromePeripheral large cell lymphoma, unspecifiedAnaplastic large cell lymphomaEnteropathy - associated T - cell lymphomaHepatosplenic gamma delta T - cell lymphomaAdult T . cell leukemia / lymphomaNK I T - cell lymphoma, nasal typeNK cell leukemia